Findings of histopathological examination in the liver in case of malaria are?
1. Microabscess formation
2. Kupffer's cell hyperplasia with macrophage infiltration around periportal area laden with pigments
3. Non caseating granuloma
4. Non specific finding of neutrophilic infiltration

Correct answer: 2. Kupffer's cell hyperplasia with macrophage infiltration around periportal area laden with pigments

Explanation: The distinctive clinical and anatomic features of malaria are related to the following factors:* Showers of new merozoites are released from the red cells at intervals of approximately 48 hours for P. vivax,P. ovale, and P. falciparum and 72 hours for P. malariae. The episodic shaking, chills, and fever coincide with thisrelease.* The parasites destroy large numbers of infected red cells, thereby causing hemolytic anemia.* A characteristic brown malarial pigment derived from hemoglobin called hematin is released from the rupturedred cells and produces discoloration of the spleen, liver, lymph nodes, and bone marrow.* Activation of defense mechanisms in the host leads to marked hyperplasia of mononuclear phagocytes,producing massive splenomegaly and occasional hepatomegaly. Ref: Robbins Basic Pathology (9th Edition), page no.419